Mechanism of action of donepezil is:
1. Centrally acting reversible anticholinesterase
2. Centrally acting irreversible anticholinesterase
3. Irreversible cholinergic action
4. Reversible anticholinesterase

Correct answer: 1. Centrally acting reversible anticholinesterase

Explanation: donepezil is a centrally acting anti cholinesterase which is reversible.other drugs in this category include rivastigmine Ref; KD Tripathi 8th ed.